Atropine is used in all EXCEPT ?
1. Glaucoma
2. Mydriatic
3. Cyclopegic
4. Preanaesthetic medication

Correct answer: 1. Glaucoma

Explanation: Ans. is 'a' i.e., Glaucoma Atropine increases 'OP, therefore is contraindicated in glaucoma.